In polyarteritis nodosa lesions are seen in all except
1. Lung
2. Pancreas
3. Liver
4. Heart

Correct answer: 1. Lung

Explanation: Refer robbins 9/e 511 Polyarteritis nodosa typically involving necrotizing inflammation typically involving renal arteries sparing pulmonary vessels